A young male patient who is a case of schizophrenia was started on haloperidol 5 mg. On 3rd day, he came to the hospital accompanied by his father with uprolling of both eyes. A complete neurological examination revealed no spasticity or any other abnormalities. Visual acuity was found to be normal. Most likely diagnosis is:
1. Acute dystonia
2. Seizures
3. Malingering
4. Akathisia

Correct answer: 1. Acute dystonia

Explanation: Ans. a. Acute dystonia